Kwashiorkar is characterised by all of the following features except -
1. Edema
2. Patchy depigmentation of hair
3. Fatty liver
4. Fatty infiltration of pancreas

Correct answer: 4. Fatty infiltration of pancreas

Explanation: Ans. is 'd' i.e., Fatty Infiltration of Pancreas Kwashiorkar and marasmus are manifestations of protein energy malnutrition (PEM). Marasmus represents the compensated phase of PEM. Kwashiorkar represents the uncompensated phase of PEM. Kwashiorkar It is characterized by following three essential features - 1) Edema Edema starts in lower extreities and later involves upper limbs and the face. Face appears moon shaped and puffy. Edema is caused by - i) Hypoalbuminemia --) Major factor ii) Increased capillary permeability due to infection. iii) Free radical injury to cell membrane. 2) Markedly retarded growth Muscles of the upper limb are wasted, but the lower extremities appear swollen due to edema. Muscle wasting is masked by edema. 3) Psychomotor (mental) changes Child is lethargic, listless and apathetic (in contrast to marasmus, where the child is alert and irritable). Appetite is impaired (in contrast to marasmus, where children show voracious appetite). o Other features of kwashiorkor 1) Hepatomegaly Due to fatty infiltration 2) Hair changes in Kwashiorkar Hair is thin, dry and brittle, easily pluckable Straight and hypopigmented Flag sign (Alternate bands of Hypo and hyperpigmented hair corresponding to the period of under and proper nutrition). 3) Skin changes in Kwashiorkar Large areas of skin show erythema followed by hyperpigmentation Flaky paint dermatosis --> Hyperpigmentation patches desquamate to expose raw hypopigmented areas. It gives the appearance of paint flaking off the surface of the wood. 4) Infections These children suffer from recurrent episodes of diarrhoea, respiratory and skin infections.